Which of the following statements about diabetic nephropathy is true:
1. Microalbuminiuria is not an indicator of long term cardiovascular morbidity
2. Strict glycemic control cannot prevent microalbuminuria
3. 3-islet cell/pancreatic transplantation can improve the proteinuria in early stage
4. Angiotensin receptor blockers have no additive advantage over other drugs except B.P. control Protein restriction is not helpful

Correct answer: 3. 3-islet cell/pancreatic transplantation can improve the proteinuria in early stage

Explanation: Answer is C (0-islet cell/pancreatic transplantation can improve the proteinuria in early stage): Pancreatic transplantation (or /3-islet cell transplantation) may improve protein aria in early stages. Pancreatic Trnaplantation may improve diabetic nephropathy (proteinuria) Successful pancreatic transplantation results in normalization of blood glucose and glycosylated hemoglobin levels. Microalbuminuria is associated with long term cardiovascular morbidity `Both microalbuminuria and macroalbuminuria in individuals with DM are associated with increased risk of cardiovascular disease (morbidity)' - Harrison 17th/2287 Strict glycemic control may prevent or revert microalbuminuria `With tight control of hyperglycemia and rigrous control of blood pressure the development of microalbuminuria may be prevented or reverted' - Harrison 13th/1312, Harrison 12th/1185 Angiotensin receptor blockers and ACE inhibitors are more effective than other drugs in slowing progression of diabetic nephropathy. Blood pressure control with any agent is extremely important, but a drug specific benefit in diabetic nephropathy, independent of blood pressure control has only been shown for ACE inhibitors or Angiotensin receptor blockers. Protein Restriction is helpful in diabetic nephropathy Protein intake should be restricted in diabetic individuals with microalbuminuria and macroalbuminuria to modest levels. - Harrison 17th/2289